Rokitansky protuberance is seen in -
1. Serous cyst adeno carcinoma
2. Mucinous cyst adenoma
3. Dermoid cyst
4. All of the above

Correct answer: 3. Dermoid cyst

Explanation: Ans. is 'c' i.e., Dermoid cyst Dermoid cyst* It is the MC benign germ cell tumor of the ovary. It is also called mature cystic teratoma* Teratomas are germ cell tumors commonly composed of multiple cell types derived from one or more of the 3 germ layers. The word is derived from the Greek teras, meaning monster, which Virchow coined. Additionally, teratomas may be monodermal and highly specialized* Mature cystic teratomas account for 10-20% of all ovarian neoplasms. They are the most common ovarian germ cell tumor and also the most common ovarian neoplasm in patients younger than 20 years. They are bilateral in 15-20% of cases* The cyst is moderate in size. The capsule is tense and smooth.* On cut section there is one area of solid projection called Rokitansky protuberance, which is covered with skin with sweat and sebaceous glands. It is here that teeth and bones are found.* The predominant content of cyst are hair and sebaceous material. There may be clear CSF also.* There may be an area of thyroid tissue-struma ovarii, which maybe a/w hyperthyroidism.